During cardiopulmonary resuscitation, cardiac massage is given –
1. Upper third of sternum
2. Mid third of sternum
3. Lower third of sternum
4. Precordiurn

Correct answer: 3. Lower third of sternum

Explanation: During CPR in adults, chest compression (cardiac massage) is given over lower 1/3rd of sternum.